PIVOT TEST is used test for ?
1. Medial meniscus
2. Lateral meniscus
3. Anterior cruciate ligament
4. Posterior cruciate ligament

Correct answer: 3. Anterior cruciate ligament

Explanation: In this test,patient is in supine position.The knee is extended,with a valgus stress applied on the knee and the tibia is internally rotated.The knee is slowly flexed.Subluxation occurs at 30-40 degrees. A positive test indicates anterior cruciate ligament tear. ref:JohnEbnezar textbook,4th edition page no.250